Delusion is a disorder of:
1. Stream of thought
2. Form of thought
3. Content of thought
4. Possession of thought

Correct answer: 3. Content of thought

Explanation: Ans. C: Content of thoughtIn clinical examination, "thought" is assessed mainly under 2 headings of stream and form and content of thought. In Content of thought, one looks for any preoccupations such as obsessions, contents of phobias, delusions etc. Terminology in psychiatry:Illusion: Misinterpretation of stimuli arising from external objectHallucination: Perception without stimuliDelusion: False unshakeable belief not amenable to reasoningDelusion:Disorder of thoughtNihilistic delusion: DepressionDelusion of grandeur: ManiaParanoid delusion and delusion of reference: Schizophrenia